Inverted champagne bottle muscle atrophy occurs in-
1. Peroneal muscular atrophy
2. Duchenne's muscular dystrophy
3. Progressive muscular atrophy
4. Amyotrophic lateral sclerosis

Correct answer: 1. Peroneal muscular atrophy